Plasma sterilization acuracy is assessed by using -
1. Bacillus subtilis
2. Bacillus stearothermophilus
3. Staphylococcus aureus
4. Clostridium tetani

Correct answer: 2. Bacillus stearothermophilus